Needle shaped crystals negatively birefringent on polarized microscopy is characteristic of which crystal associated arthropathy?
1. Gout
2. Pseudo gout
3. Neuropathic arthropathy
4. Hemophilic arthropathy

Correct answer: 1. Gout

Explanation: Gout negatively birefringent needle shaped mono sodium urate (MSU) crystals are seen in the synovial fluid examined by polarizing microscopy Pseudo gout calcium pyrophosphate dihydrate (CPPD)polygonal positively biferengent crystals are seen in joint aspiration Hemophilic arthropathy permanent joint disease occurring in haemophilia sufferers as a long-term consequence of repeated hemarthrosis. Neuropathic arthropathy characterized by joint dislocations, pathologic fractures, and debilitating deformities. M/C cause is diabets mellitus